Which of the following is not elevated in a child presenting with jaundice, icterus, pruritus and clay-colored stools?
1. 5' nucleotidase
2. Alkaline phosphatase
3. Glutamate dehydrogenase
4. Gamma glutamyl transpeptidase

Correct answer: 3. Glutamate dehydrogenase

Explanation: Ans. C. Glutamate dehydrogenase(Ref: HARRISON 19/E PG-1997, 18/E, P2530)Glutamate dehydrogenase is not elevated in obstructive jaundice.Liver diseases in which necrosis of hepatocytes is the predominant event, such as toxic liver damage or hypoxic liver disease, are characterized by high serum GLDH levels. GLDH is important for distinguishing between acute viral hepatitis and acute toxic liver necrosis or acute hypoxic liver disease, particularly.Gamma glutamyl transpeptidase is important to differentiate between neonatal hepatitis and biliary atresia in infant with jaundice